A 45-year-old man presents with a history of frequent falls. He has difficulty in looking down also. What is the most probable diagnosis -
1. Normal pressure hydro-cephalus
2. Parkinson's disease
3. Alzheimer's disease
4. Progressive supranuclear palsy

Correct answer: 4. Progressive supranuclear palsy